Crypts are seen in
1. Tonsils
2. Adenoids
3. Lymph nodes
4. Parotids

Correct answer: 1. Tonsils

Explanation: Ans. (a) TonsilsRef: Dhingra's ENT 6th ed.l 257-58* Crypts are inward folding of the mucosa which are found in tonsils and they increase the surface area.* Crypts are also seen in small intestine.